Nitabuchs layer is absent is-
1. Placenta accrete
2. Placenta previa
3. Placenta membranacia
4. Circumvillate placenta

Correct answer: 1. Placenta accrete

Explanation: Ans is 'a' i.e., Placenta accrete Nitabuchs layero During formation of placenta, there is an area of fibrinoid degeneration where trophoblast cells (covered with syncytium) meet the decidua. This zone is known as Nitabuch's layer. This layer limits further invasion of the decidua by the trophoblast.Note: This membrane is absent in placenta accreta.